An incised looking laceration is seen in all except -
1. Iliac crest
2. Zygomatic bone
3. Shin
4. Chest

Correct answer: 4. Chest

Explanation: Incised like or incised looking laceration: blunt force on areas where the skin is close to bone, and the subcutaneous tissues are scanty, may produce a wound which by linear splitting of the tissue, may look like incised wound.
Eg: shin, scalp, eyebrows, cheek (zygomatic bone), lower jaw, iliac crest, knee & perineum.